Mineralocorticoid receptors are present in all except
1. Hippocampus
2. Colon
3. Liver
4. Kidney

Correct answer: 3. Liver

Explanation: Mineralocorticoid receptor are present in kidney,hippocampus and colon. Glucocorticoid receptor are present in liver. Mineralocorticoid receptors (MR) bind bothmineralocorticoids and glucocorticoids with high affinity (deoxycorticosterone = corticosterone >/= aldosterone = cortisol), and are found in both Na(+) transporting epithelia (e.g. kidney, colon) and nonepithelial tissues (e.g. heart, brain). (REF.Essential of medical pharmacology K D TRIPATHI 6 Edition, Page No - 277)